Typhoid ulcer ruptures at
1. 1st week
2. 2nd week
3. 3rd week
4. 4th week

Correct answer: 3. 3rd week

Explanation: C. i.e. (3rd week) (69- 5 B & L 25th) (995- S. Das 5th)* After the second week, signs of peritonitis usually denotes perforation, which is confirmed by the presence of free.gas seen on x-ray (69-.B & L 25th)* Perforation usually occurs during the third week it occurs through ulcerated peyer's patches in the terminal ileum (commonest site)** (995 - S-Das 5th)* Typhoid ulcer are longitudinal (Tuberculous ulcers are transverse)**** Treatment - laparotomy - close the peritoneum and leave the wound open for secondary closure* In typhoid, chronic carriers are those - Urinary carriers with anomaly*** Chronic burrowing ulcer is caused by - Microaerophilic streptococci**